Reinke edema is associated with:
1. Alcoholism
2. Smoking
3. Malnutrition
4. None of the above

Correct answer: 2. Smoking

Explanation: Reinke Edema has the following features. Strong association with cigarette smoking and heavy voice use. Diffuse edematous changes of the vocal cords. Usually bilateral.